Drug of choice for bacterial vaginosis:
1. Ciprofloxacin
2. Doxycycline
3. Teracycline
4. Metronidazole

Correct answer: 4. Metronidazole

Explanation: Ans. D: Metronidazole The 7-day course of metronidazole 500 mg twice daily is effective in 85% of courses of bacterial/ gardnerella vaginosis, whereas a single dose of 2 gm cures only 45%.